The nerve of latarjet of the vagus is seen in -
1. Thorax
2. Neck
3. Stomach
4. Heart

Correct answer: 3. Stomach

Explanation: Main gastric nerve of Latarjet is a branch of vagus and supplies the stomach.